How many roots does a primary maxillary first molar have:
1. One
2. Two
3. Three
4. Four

Correct answer: 3. Three